A 50 year old with history of jaundice in the past has presented with right upper quadrant abdominal pain. Examination and investigations reveal chronic calculous cholecystitis. The liver functions tests are within normal limits and on ultrasound examination, the common bile ducts is not dilated. Which of the following will be the procedure of choice?
1. Laparoscopic cholecystectomy
2. Open choledocholithotomy followed by laparoscopic cholecystectomy
3. ERCP + choledocholithotomy followed by Laparoscopic cholecystectomy
4. Laparoscopic cholecystectomy followed by ERCP + choledocholithotomy

Correct answer: 1. Laparoscopic cholecystectomy

Explanation: In the given question there was an episode of jaundice, but LFT is normal and CBD is not dilated. The best option is laparoscopic cholecystectomy only Management of CBD stones associated with GB stones * Pre-operatively detected stones:- * Unsuspected stones found at the time of cholecystectomy:- Experienced laparoscopic surgeon Experienced laparoscopic surgeon Cholecystectomy and choledochotomy in same sitting Laparoscopic CBD exploration and stone retrieval through the cystic duct * Laparoscopic choledochotomy and stone extraction Inexperienced laparoscopic surgeon Inexperienced laparoscopic surgeon Pre-op ERCP with stone removal and laparoscopic cholecystectomy later Convert to open procedure and remove CBD stone Complete the cholecystectomy and refer the patient for ERCP